Yoke muscle pair -
1. Rt IR + Rt SR
2. Rt LR + Rt MR
3. Rt LR + Lt MR
4. Lt LR + Lt MR

Correct answer: 3. Rt LR + Lt MR

Explanation: Ans. is 'c' i.e., Rt LR + Lt MRo Yoke muscle refers to the pair of muscles (one from each eye) which contract simultaneously during various movements.o For example, right lateral rectus and left medial rectus act as yoke muscles for Dextroversion movement.MovementYoke MusclesDextroelevationRight superior rectusLeft inferior obliqueLevoelevationLeft superior rectusRight inferior obliqueDextrodepressionRight inferior rectusLeft superior obliqueLevodepressionLeft inferior rectusRight superior obliqueDextroversionRight lateral rectusleft medial rectusLevoversionLeft lateral rectusRight medial rectus